Metanephros develops during which week of embryonic development?
1. 4th
2. 5th
3. 6th
4. None of the above

Correct answer: 2. 5th

Explanation: The third urinary organ, the metanephros, or permanent kidney, appears in the fifth week. Its excretory units develop from metanephric mesoderm in the same manner as in the mesonephric system. Ref: Langman's embryology 11th edition Chapter 15.